Ends of chromosomes replicated by
1. Telomerase
2. Centromere
3. Restriction endonuclease
4. Exonuclease

Correct answer: 1. Telomerase

Explanation: Telomerase is responsible for synthesis of and maintenance of telomere length (end of chromosome).